Roopmati, A 56–year–old female with lymph-node-positive breast cancer was treated with systemic chemotherapy. Four weeks later, she developed frequent urination, suprapubic pain, dysuria, and hematuria. Which of the following could have prevented this patient's condition?
1. Folinic acid
2. Mesna
3. Dexrazoxane
4. Amifostine

Correct answer: 2. Mesna